Osteitis fibrosa cystica is seen in:
1. Hyperparathyroidism
2. Hypoparathyroidism
3. Hypothyroidism
4. Hyperthyroidism

Correct answer: 1. Hyperparathyroidism

Explanation: Brown tumor /osteitis fibrosa cystica One of the manifestations of Hyperparathyroidism Bony trabeculae are replaced by fibrous tissue and there is cystica that is cystic cavity in bone filled with blood and blood degradation products giving it brown color. Hemosiderin imparts the brown color (hence the name of the lesions) Histologically brown tumors are identical to GCTs (both are osteoclastomas),